All of the following are used to assess the mid-upper arm circumference except?
1. Bangle test
2. Shakir tape method
3. Quac stick
4. Harpenden calliper

Correct answer: 4. Harpenden calliper

Explanation: Harpenden calliper is used to measure skinfold thickness which is an indication of subcutaneous fat. The other three are used to measure the mid-upper arm circumference. The Shakir tape is used to measure mid-upper arm circumference. It has three coloured zones corresponding to various levels of wasting * In bangle test, a bangle with an internal diameter of 4 cm is passed above the elbow. In severe malnutrition, it can be passed above the elbow, in normal children it cannot. * QUACK stick - Quaker arm circumference measuringstick. It is a measure of expected Mid-arm circumference that would be expected for a given height